The 1997 bird flu pandemic was caused by which of the following strain?
1. H1N1
2. H5N1
3. H2N1
4. H4N1

Correct answer: 2. H5N1

Explanation: Human infections with an influenza H5N1 was first reported in Hong Kong in 1997. Ref: Epidemiology of communicable diseases Park's textbook of Preventive and Social Medicine, 21stedition, page-330.